Acute silicosis clinical manifestation is –
1. Pulmonary alveolar proteinosis
2. Hypersensitivity penumonitis
3. Hypersensitivity pneumonia
4. Forms nodules and causes pneumoconiosis

Correct answer: 1. Pulmonary alveolar proteinosis

Explanation: Silicosis

Silicosis is a lung disease caused by inhalation of crystalline silicon dioxide (silica).
Currently, it is the most prevalent occupational disease in the world.
There are three types of silicosis -

i) Acute silicosis

Results from short-term exposure to a very large amounts of silica.
A subset of acute silicosis is silicoproteinosis the chest radiographic appearance of which mimic pulmonary alveolar proteinosis.
A miliary picture with very small round opacities may also occur in lower lung fields.

ii) Accelerated silicosis

Occurs after exposure to large amounts of silica over a shorter period of time (4-8 years).
Inflammation, scarring and symptoms progress faster than chronic silicosis.

iii) Chronic silicosis

Results from long term exposure (more than 20 years) of low amounts of silica dust.
Nodules in upper zones of lung.
Fibrotic lesions in hilar lymph node & pleura
 Progressive massive fibrosis
Increased susceptibility of TB → silicotuberculosis